Which worm causes myocarditis
1. Trichuris
2. Trichinella
3. Enterobius
4. Strongyloides

Correct answer: 2. Trichinella

Explanation: Myocarditis encompasses a diverse group of clinical entities in which infectious agents and/or inflammatory processes primarily target the myocardium. Trichinosis is the most common helminthic disease with associated cardiac involvement. (Robbins basic pathology,9th edition,pg no.402)